Which of the following is a constituent of Cytochrome C reductase?
1. B1
2. B2
3. Biotin
4. Pyridoxine

Correct answer: 2. B2

Explanation: RIBOFLAVIN (VITAMIN B2) Biological Active Forms The biologically active forms, in which riboflavin serves as the prosthetic group (as the coenzyme) of a number of enzymes are the phosphorylated derivatives. Two main derivatives are:FMN (Flavin Mononucleotide): In this, the phosphoric acid is attached to ribityl alcoholic group in position 5. Flavin-Ribityl-PO4FAD (Flavin adenine nucleotide): It may be linked to an adenine nucleotide through a pyrophosphate linkage to form FAD. Flavin-ribityl-P-P-ribose-Adenine Thus, FMN and FAD are two coenzymes of this vitamin. FMN contains in Warburg's yellow enzymeCytochrome-C-reductaseL-amino acid oxidase SECTION TWO (Fp is auto-oxidizable at substrate level by molecular O2 forming H2O2)Ref: MN Chatterjea Textbook of Medical Biochemistry, 8th edition, page no: 180